Which one of the following increase the potassium level in the body –
1. E–tubocurarine
2. Gallamine
3. Suxamethonium
4. Pancuronium

Correct answer: 3. Suxamethonium